True about affect of aging on the Articular cartilage is following except
1. Increased production of glycosaminoglycans
2. Decreased production of glycosaminoglycans
3. Increased degradation of glycosaminoglycans
4. Decreased water content

Correct answer: 1. Increased production of glycosaminoglycans

Explanation: Aging of Articular Cartilage causes:a. Decrease in water contentb. Decrease in carbohydrate/protein ratioc. Decrease in chondroitin sulfate (CS)d. Increase in keratin sulfate (KS)e. Increased degradation of glycosaminoglycans